p24 antigen disappers from the blood after how many weeks in HIV -
1. 2-4 weeks
2. 4-6 weeks
3. 6-8 weeks
4. 8-10 weeks

Correct answer: 3. 6-8 weeks

Explanation: p24Ag id disappear from blood during 6-8 week & remain absent during asymptomatic period REF:
MICROBIOLOGY ANANTHA NARAYANAN NINTH EDITION PAGE.577